"Chain of lakes" appearance seen in:
1. Acute pancreatitis
2. Chronic pancreatitis
3. Carcinoma pancreas
4. Strawberry gall bladder

Correct answer: 2. Chronic pancreatitis

Explanation: (Chronic pancreatitis) (1127-Baily & Love 24th) (1146-B &L 25th)(A) Chronic pancreatitis - shows - "chain of lakes" calcification.(B) Acute pancreatitis - plain radiograph shows gall stone a "sentinel loop' (a segment of air filled small intestine most commonly in the left upper quadrant)* Colon "cutoff sign" a gas filled segment of transverse colon abruptly ending at the area of pancreatic inflammation or linear focal atlectasis of the lower lobe of the lungs with or without pleural effusion.* Renal "halo sign"CT finding of Acute PancreatitisPancreatic changeNon specific finding1. Parenchymal enlargement diffuse focal2. Parenchymal edema3. Necrosis* Bowel distension* Pleural effusions* Mesenteric edemaPeripancreatic changes 1. Blurring of fat planes2. Thickening of facial planes3. Presence of fluid collections Carcinoma of pancreas - Upper GI barium shows:1. Widening of the duodenal sweep {Double duct sign)2. Narrowing of the lumen scrambled egg appearance3. "Reversed 3 sign " frost bergs